Cyclops is a part of life cycle of:
1. Toxoplasmosis
2. Echinococcus
3. Leishmaniasis
4. Dracunculosis

Correct answer: 4. Dracunculosis

Explanation: Ans. D: Dracunculosis Dracunculiasis/Guinea Worm Disease is caused by a nematode, or flatworm, Dracunculus medinensis, which infects small Crustaceans, called Cyclops which dwells in water supplies. Human because infected if they drink from an unfiltered water supply, which contains infected water fleas. Eradication of the disease is relatively simple and is in near sight--eradication can be accomplished simply by preventing people from drinking from water contaminated by the parasite. After Small Pox, Guinea Worm disease will be the second disease to be eliminated from the world.